Lower lip paresthesia occurs in
1. Body fracture
2. Symphysis fracture
3. Coronoid fracture
4. Condyle fracutre

Correct answer: 1. Body fracture